β-blockers act in glaucoma by -
1. Increased aqueous outflow
2. Decreased aqueous production
3. Reduce vitreous volume
4. None

Correct answer: 2. Decreased aqueous production